Type of graft, best suited for renal transplantation:
1. Allograft
2. Autograft
3. Xenograft
4. Isograft

Correct answer: 4. Isograft

Explanation: Answer is D (Isograft) : "Although the best graft is an Autograft, a renal graft can obviously not he an Autograft...silly." So the best renal graft is an Isoqraft from an individual twin. IsOgrall: Is a graft from a different individual genetically identical with recipient e.g. identical twin. Aulograft: Is to self. Allograft: Graft from different species. Xenograft: Graft from different species.